Koenen's periungual fibromas are seen in > 50% of cases with :
1. Tuberous sclerosis
2. Sturge weber syndrome
3. Alaxia telangiectasia
4. Neurofibroatosis

Correct answer: 1. Tuberous sclerosis

Explanation: A i.e. Tuberous sclerosis